Which of the following does mean by the term 'res ipsa loquitur' in medical ethics?
1. Negligence of surgeon
2. Evidence speaks for itself
3. Liability in negligence
4. Punishment in negligence

Correct answer: 2. Evidence speaks for itself

Explanation: The rule of res ipsa loquitur means 'the thing or fact speaks for itself'. The rule is applied when the following conditions are satisfied: In the absence of negligence the injury would not have occurred ordinarily The doctor had exclusive control over the injury producing instrument or treatment The patient was not guilty of contributory negligence Ref: Essentials of Forensic Medicine and Toxicology by Narayan Reddy, 27th edition, Page 33.